Leukocytic infiltraton in islet cells of pancrease is characterstically seen in some cases of -
1. Juvenile diabetes
2. Diabetic ketosis
3. Systemic mucoviscidosis
4. Haemorrhagic pancreatic necrosis

Correct answer: 1. Juvenile diabetes

Explanation: Type 1 diabetes is a T cell-mediated autoimmune disease, characterized by lymphocytic infiltration of the pancreatic islets.